Agent of first choice in an acute attack of Prinzmetal's angina is:
1. Diltiazem
2. Nitrates
3. Propranolol
4. Verapamil

Correct answer: 2. Nitrates

Explanation: Answer is B (Nitrates) "Sublingual nitroglycerine is the drug of choice" -- CMDT Nitrates decrease arteriolar and venous tone, reduce preload and afterload, and reduce the oxygen demand of the heart. Nitrates may also improve myocardial blood flow by dilating collateral channels in the presence of increased vasomotor tone, or coronary stenosis.